Necrotising lymphadenitis is seen with -
1. Kimura disease
2. Kikuchi disease
3. Castle Man disease
4. Hodgkin's lymphoma

Correct answer: 2. Kikuchi disease

Explanation: Kikuchi-Fujimoto disease (KFD), or histiocytic necrotizing lymphadenitis, is a benign and self-limited disease that mainly affects young women. Patients present with localized lymphadenopathy, fever, and leukopenia in up to half of the cases. KFD can occur in association with systemic lupus erythematosus . Ref - pubmed .com , Harrisons 20e p1243